Non-immune hemolytic anemia occurs in -
1. SLE
2. P. vivax infection
3. CLL
4. CML

Correct answer: 2. P. vivax infection

Explanation: Non-Immune hemolytic anemia

In non-immune hemolytic anemia, hemolysis occurs without formation of antibodies against RBCs.
Combs test is negative, therefore it is also known as Coombs negative hemolytic anemia.

Causes are : -

Drugs Ribavirin
Toxins → Snake venum, plant poisons such as aesculin.
Mechanical trauma to RBCs → prosthetic heart valve, thrombosis in microcirculation.
Microangiopathic hemolytic anemia :- Thrombotic thrombocytopenia purpura (TTP), Hemolytic uremic syndrome (HUS), DIC, HELLP syndrome.


Infections : -

Babesiosis, Malaria, Clostridium perfringens sepsis.
Hereditary spherocytosis, Thalassemia, SCA,
Paroxysmal nocturnal hemoglobinuria, Liver disease.